WHich of the following diuretic has high degree of ototoxicity
1. Ethacrylic acid
2. Lasix
3. Spironolactone
4. Bumetanide

Correct answer: 1. Ethacrylic acid

Explanation: Among loop diuretics, ethacrynic acid is having the highest tendency to produce ototoxicity leading to hearing loss due to excess loss of sodium and potassium ions from the peri and endolymph of ear ototoxicity- self-limited, reversible usually, dose dependent REF KD Tripathi 8th ed